One of the following is not capable of replication:
1. Neuron
2. Liver
3. Kidney
4. None of the above

Correct answer: 1. Neuron

Explanation: Tissues composed of cells that rarely or never divide (e.g., neurons or muscle) demonstrate little or no radiation-induced hypoplasia over the short-term. 
Reference: White and Pharoah's Oral Radiology Principles and Interpretation 7th edition page no 3